'SEPS' is a surgical procedure used in the treatment of which of the following condition:
1. Venous incompetence
2. Arterial obstruction
3. Lymphatic obstruction
4. AV fistula

Correct answer: 1. Venous incompetence

Explanation: Subfascial endoscopic perforator vein surgery (SEPS) is done in patients with documented perforator incompetence. It is a minimally invasive technique performed in patients with advanced chronic venous insufficiency. The objective of this operation is to interrupt incompetent medial calf perforating veins to decrease venous reflux, and to reduce ambulatory venous hypertension in critical areas above the ankle where venous ulcers most frequently develop. Patients with stasis skin changes and healed or active ulcerations are candidates of operations. Ref: Physical Medicine and Rehabilitation: Principles and Practice By Joel A. DeLisa, Nicholas E. Walsh, Volume 1, Page 801